Kaposi's varicelliform eruptions are likely seen all EXCEPT:-
1. Atopic dermatitis
2. Dermatitis herpetiformis
3. Lymphoma
4. Syphilis

Correct answer: 4. Syphilis

Explanation: Kaposi's varicelliform eruptions are seen in following conditions - Atopic dermatitis Darier's disease Pemphigus foliaceus Dermatitis herpetiformis cutaneous T-cell lymphoma Sezary syndrome Staphylococcal scalded skin syndrome Coxsackievirus A16, or vaccinia virus infects a preexisting dermatosis and can cause Kaposi's varicelliform eruptions